Incubation period of Diptheria is -
1. 2 - 6 days
2. 2 - 6 hrs
3. 2 - 6 weeks
4. 2 - 6 months

Correct answer: 1. 2 - 6 days

Explanation: . Ans. is `a' i.e., 2 - 6 days - The incubation period of diphtheria is commonly 3-4 days.